The different manifestations of hypothermia are –a)  Apneab)  Hypoglycemiac)  Hyperglycemiad)  Tachycardiae)  Hypoxia
1. abc
2. bcd
3. cde
4. abe

Correct answer: 4. abe

Explanation: Signs & symptoms of Hypothermia -
Peripheral vasoconstriction

Acrocyanosis
Cool extremities
Decreased peripheral perfusion

CNS depression

Lethargy
Bradycardia
Apnea
Poor feeding

Increased metabolism

Hypoglycemia
Hypoxia
Metabolic acidosis

Increase in pulmonary artery pressure

Respiratory distress
Tachypnea

Chronic signs 

Weight loss

Depression in Immunological system

Increased incidence of septicemia
Scleroma
DIC (due to infection) - Hemorrhagic manifestations